All of the following nerves supply auricle & external meatus except -
1. Trigeminal nerve
2. Facial nerve
3. Auditory nerve
4. Vagus nerve

Correct answer: 3. Auditory nerve